Glucocorticoids lead to an increase in blood levels of which of the following?
1. Neutrophils
2. Eosinophils
3. Basophils
4. Lymphocytes

Correct answer: 1. Neutrophils

Explanation: Effects of glucocorticoids:Increased plasma levels ofDecreased plasma levels of* Neutrophils* Lymphocytes* RBCs* Eosinophils* Platelets* Basophils